The sticky polysaccharide present in dental plague is
1. Dextran
2. dextrin
3. Glycogen
4. sucrose

Correct answer: 1. Dextran